Posterior superior iliac spine is at the level of?
1. L5
2. S1
3. S2
4. S3

Correct answer: 3. S2

Explanation: PSIS is at level of S2BD CHOURASYA'S HUMAN ANATOMY 6TH EDITION VOLUME 2 PAGE NO:430